The tendon of which of the following muscles is stretched during the patellar reflex?
1. Quadriceps femoris
2. Quadratus femoris
3. Sartorius
4. Pectineus

Correct answer: 1. Quadriceps femoris

Explanation: The patella (a sesamoid bone) develops within the tendon of the quadriceps femoris muscle. When the reflex hammer strikes the patellar ligament resulting in reflex contraction of the quadriceps femoris musclesand extension of knee in patellar reflex. This reflex arc is elicited by the femoral nerve. Quadratus femoris-is the muscle of gluteal region not involved with patellar reflex. Sartorius- flexor of knee and hip joint Pectineus- flexor of hip joint